Excess secretion of aldosterone causes all except:
1. Increased ECF
2. Very High Na+ in plasma
3. Increased BP
4. Natriuresis

Correct answer: 2. Very High Na+ in plasma

Explanation: Ans. (b) Very High Na+ in plasma(Ref: Ganong, 25th ed/p.370)Excess aldosterone causes Sodium and water retentionIn spite of action of aldosterone on the renal tubules, Sodium excretion is increased during aldosterone excess - "Aldosterone Escape phenomenon"This is because of the increase in atrial natriuretic peptide (ANP) secretion that excretes sodium in response to increase in ECF volumeSo, Very High Na+ in plasma is not seen in aldosterone excess